Acetylcholine acting on nicotinic receptors produces
1. Contraction of skeletal muscle
2. Secretion saliva
3. Bradycardia
4. Pupillary constriction

Correct answer: 1. Contraction of skeletal muscle

Explanation: Acetylcholine acting at motor and causes muscle contraction Ref: guyton and hall textbook of medical physiology 12 edition page number:76,77,78